Raygat's test is based on:
1. Weight of lung
2. Specific gravity of lung
3. Consistency of lung
4. Volume of lungs

Correct answer: 2. Specific gravity of lung

Explanation: Ans. Specific gravity of lung